Which of the following is Not true about Rumination disorder?
1. Failure to thrive
2. Appears between 3-5 years of age
3. Regurgitation of food
4. No Nausea

Correct answer: 2. Appears between 3-5 years of age

Explanation: Rumination disorder is an eating disorder in which a person usually an infant or young child brings back up and re-chews partially digested food that has already been swallowed. In most cases, the re-chewed food is then swallowed again; but occasionally, the child will spit it out. Symptoms Effortless regurgitation, typically within 10 minutes of eating Abdominal pain or pressure relieved by regurgitation A feeling of fullness Bad breath Nausea Unintentional weight loss Causes The precise cause of rumination syndrome isn't clear. But it appears to be caused by an increase in abdominal pressure. Rumination syndrome is frequently confused with bulimia nervosa, gastroesophageal reflux disease (GERD) and gastroparesis. Some people have rumination syndrome and linked to rectal evacuation disorder, in which poor coordination of pelvic floor muscles leads to chronic constipation. The condition has long been known to occur in infants and people with developmental disabilities. It's now clear that the condition isn't related to age, as it can occur in children, teens and adults. Rumination syndrome is more likely to occur in people with anxiety, depression or other psychiatric disorders. Reference: GHAI Essential pediatrics, 8th edition